What is the most common cause for Budd chiari syndrome :
1. Right ventricular failure
2. PNH
3. Valve in hepatic veins
4. Polycythemia vera

Correct answer: 4. Polycythemia vera

Explanation: Answer is D (Polycythemia vera): Amongst the options provided Polycythemia vera is the commonest cause of Budd chiary syndrome. Budd chiari syndrome includes acute, subacute or chronic occlusion of hepatic vein most commonly caused by hepatic vein thrombosis. Hepatic vein thrombosis is associated with in decreasing order of frequency: - Polycythemia vera Q - Pregnancy - Postpartum state - Use of oral contraceptives - Paroxysmal nocturnal hemoglobinuria (PNH) Q - lntraabdominal cancers, particularly hepatocellular carcinoma